Day care surgery intravenous anesthetic agent of choice-
1. Thiopentone
2. Propofol
3. Etomidate
4. Ketamine

Correct answer: 2. Propofol

Explanation: Recovery from Propofol is more rapid and is accompanied with less "hangover" then recovery from often intravenous anaesthetic agents. Intravenous induction agent of choice forambulatory anesthesiaispropofol. Propofol hasrapid onset of action and a faster recoverymaking it an ideal induction agent for outpatient/ambulatory anesthesia. Besides, propofol hasantiemetic properties which help reduce post-operative nausea and vomiting and recovery is pleasant